Single dose aminoglycoside administration is more preferable than 8 hourly dose because of :
1. MIC
2. Increase perfusion of renal cortex
3. Post antibiotic effect
4. None

Correct answer: 3. Post antibiotic effect